After renal transplant the commonest malignancy is
1. Adrenal cancer
2. Lymphoma
3. Renal cell Ca
4. Skin malignancy

Correct answer: 4. Skin malignancy

Explanation: (D) Skin malignancy